Mechanism of action/properties of Sod. Hypochlorite is explained as
1. Saponification
2. Hypochlorous acid formation
3. Deamination
4. All of the above

Correct answer: 4. All of the above